A Sentinel pile indicates
1. Internal hemorrhoids
2. Pilonidal sinus
3. Fissure in ano
4. Fistula in ano

Correct answer: 3. Fissure in ano

Explanation: Ans. c (Fissure in ano) (Ref. Bailey and Love Surgery 26th/1250; Ref. Q. 216 of MH-2007).SENTINEL PILE- This misnomer is given to a skin tag marking--and often containing within it--the distal end of an anal fissure, found usually in the posterior midline.